Carcinoma of transverse colon is normally treated by
1. Right hemicolectomy
2. Extended right hemicolectomy
3. Left hemicloectomy
4. Extended left hemicolectomy

Correct answer: 2. Extended right hemicolectomy

Explanation: Carcinomas of the transverse colon and splenic flexure are most commonly treated by an extended right hemicolectomy. Right HemicolectomyCarcinoma of the caecum orascending colonExtended right hemicolectomyCarcinomas of the transversecolon and splenic flexure*Some surgeons prefer to perform a lefthemicolectomy for a splenic flexure cancer.Left hemicolectomydescending colon and sigmoid cancersRef: Bailey and love, page: 1262